True about silent mutation in gene:
1. No change in mRNA
2. No change in Amino acid sequence in protein
3. No expression of protein
4. None

Correct answer: 2. No change in Amino acid sequence in protein

Explanation: B i.e. No change in amino acid sequence, No change in expression of proteinConserved mutation is a type of acceptable missense mutation that is caused by single base substriction (or point mutation) and results in translation of aminoacid that has same properties as of original aminoacid eg glutamic acid (Glu) to aspartic acid (Asp)Q.Genetic code GAA & GAG encode Glutamic acid (Glu); and GAC and GAU encode Aspartic acid.